Enterovirus causes all, except -
1. Hemorrhagic fever
2. Pleurodynia
3. Herpangina
4. Aseptic meningitis

Correct answer: 1. Hemorrhagic fever

Explanation: Ans. is 'a' i.e., Haemorrhagic fever